Duhamel procedure is done for
1. Hirschsprung's disease
2. HPSS
3. Meckels diverticulum
4. Volvulus

Correct answer: 1. Hirschsprung's disease

Explanation: Answer- A. Hirschsprung's diseaseSurgery in Hirschsprung's discase aims to remove the aganglionic segment and'pull-through'ganglionic bowel to the anus (e.9. Swenson, Duhamel, Soave and transanal procedures) and can be done in a single stage or in several stages after first establishing a proximal stoma in normally innervated bowel.